The frequency of colour-blind males is 1 in 100 in a certain population. What is the frequency of colour blind females given that the population is in Hardy-Weinberg equilibrium at this point?
1. 0.02
2. 0.0005
3. 0.01
4. 0.0001

Correct answer: 4. 0.0001

Explanation: Ans. (d) 0.0001The frequency of colour blindness is equal to the frequency of colour blind males, as colour blindness is an XLR condition.Thus, it is 0.01In females, to be colour blind, both alleles have to be mutant, thus 0.01 x 0.01 = 0.0001